The following calcium channel blocker is specifically indicated to counteract cerebral vasospasm and neurological sequelae following subarachnoid haemorrhage
1. Lacidipine
2. Nicardipine
3. Nimodipine
4. Nitrendipine

Correct answer: 3. Nimodipine

Explanation: Nimodipine It is a short-acting DHP which penetrates blood-brain barrier very efficiently due to high lipid solubility. Uses:- It is believed to selectively relax cerebral vasculature and is approved for prevention and treatment of neurological deficit due to cerebral vasospasm following subarachnoid haemorrhage or ruptured congenital intracranial aneurysms. Side effects:- Headache, flushing, dizziness, palpitation and nausea. Ref:- kd tripathi; pg num:-550